Downbeat nystagmus is characteristic of -a) Posterior fossa lesionb) Vestibular lesionc) Labyrinthine lesiond) Cerebellar lesion
1. b
2. ad
3. ac
4. ab

Correct answer: 2. ad